In the presence of vasopressin, which part of nephrons become more permeable to water
1. Proximal tubule.
2. Loop of Henle.
3. Distal tubule.
4. Cortical collecting duct.

Correct answer: 4. Cortical collecting duct.

Explanation: In the presence of enough vasopressin to produce maximal antidiuresis, water moves out of the hypotonic fluid entering the cortical collecting ducts into the interstitium of the cortex, and the tubular fluid becomes isotonic.